Stripping naked a female patient for medical examination is punishable under
1. S. 228 A IPC
2. S. 354 IPC
3. S.354 C IPC
4. S.493 IPC

Correct answer: 2. S. 354 IPC

Explanation: S. 228 A IPC - PRINTING OR PUBLISHING THE IDENTITY OF SEXUAL ASSAULT VICTIM S. 354 IPC - INDECENT ASSAULT S.354 C IPC - VOYEURISM S.493 IPC - COHABITATION